Amenorrhoea due to high LH and FSH is due to :
1. Asherman syndrome
2. Pituitary adenoma
3. Ovarian failure
4. All

Correct answer: 3. Ovarian failure

Explanation: Ovarian failure